In recently diagnosed IDDM patient examination of fundus is done at –
1. Immediately
2. At 1 year
3. At 5 year
4. None of the above

Correct answer: 3. At 5 year